Rate limiting step in cholesterol synthesis -
1. beta-hydroxy-methyl glutaryl COA - Mevalonic acid
2. Acetyl COA+CO2 + AIP - Matonyl COA+ADP+Pi
3. L-Methyl malonyl COA Succinyl COA
4. Lactose + H2O - Glucose + Galactose

Correct answer: 1. beta-hydroxy-methyl glutaryl COA - Mevalonic acid

Explanation: Ans. is 'a' i.e., b-hydroxy-b-methyl glutary1 COA- Mevakmic acid orT HMG-CoA reductase is the rate limiting enzyme in cholesterol synthesis.